True about alternative splicing
1. It is the reason Why the Human Genome is much more Complex than other species.
2. Creates different proteins from a single gene.
3. Creates protein from multiple segments of DNA on different chromosomes.
4. It is not tissue specific.

Correct answer: 2. Creates different proteins from a single gene.

Explanation: It’s a regulated process occurs during gene expression and results in a single gene coding for multiple proteins.